Fulminant Amoebic meningoencephalitis caused by-
1. Acanthamoeba
2. N.fowleri
3. E.Histolytica
4. E. Coli

Correct answer: 2. N.fowleri